Choriocarcinoma is differentiated from invasive mole (chorioadenoma destruens) by:
1. Presence of high titre of urinary chorionic gonadotrophin
2. Presence of cannon ball shadow in the lungs
3. Absence of villi structure on histological examine of the lesion
4. All of the above

Correct answer: 3. Absence of villi structure on histological examine of the lesion

Explanation: Choriocarcinoma can be considered a carcinoma of chorionic epithelium. The characteristic difference from hydatidiform mole is the absence of villous pattern.(refer pgno:172 sheila textbook of obstetrics 2 nd edition)